Which of the can following myofunctional appliance be used in uncooperative patients with class II malocclusions?
1. Activator
2. Frankel II
3. Bionator
4. Herbst

Correct answer: 4. Herbst

Explanation: Indications for Herbst appliance: 

Correction of class II due to retrognathic mandible.
As an anterior repositioning splint, in patients having TMJ disorders.
Can be used in mouth breathers.
It is fixed, so can be used in uncooperative patients.